Normal 6/6 visual acuity is attained at
1. 6months
2. 1years
3. 3years
4. 6years

Correct answer: 4. 6years

Explanation: Development : 1 month - Fixation of light becomes more steady: Baby develops a preference for looking at the face or face-like-stimulus. 3 months - Binocular vision and eye coordination are established: Baby smiles in response to a visible smile: recognizes familiar faces and objects. 6 months - Preference for looking at human faces: ability to reach out, grasp and play with small objects 9 months - Looks for a toy if they see it being hidden. 6 years - Normal resolution visual acuity levels, such as that of adults, i.e. 6/6, 20/20 is attained. Ref. : Parson's Diseases of the Eye: 21st Ed; Pg. 27